Urinary bacterial count is < 105/m1 is insignificant in all except :
1. Pregnancy
2. Healthy ambulatory male
3. In a setting of antibiotics treatment
4. Mid stream clean catch sample.

Correct answer: 3. In a setting of antibiotics treatment

Explanation: Ans. is c i.e. In a setting of antibiotic treatment The concept of significant bacteriuria is given by Kass. Significant bacteriuria refers to bacterial count more than 105/ml of urine Prerequisite for collection of urine for culture. Clean voided mid stream samples of urine are employed for culture. Normal urine is sterile but during voiding may become contaminated with genital commensals. Even under ideal conditions (urine collected by catheterisation), rate of urinary infection is 296. In men. it is sufficient, if mid stream urine is collected after the prepuce is retracted and the glans penis cleaned with wet cotton. In women, anogenital toilet is more important and should consist of careful cleaning with soap and water. Results : - When bacterial count are more than 1051mi of urine, it is called Significant bacteriuria. Counts of 104/ml of urine are due to contamination during voiding and are of no significance. - In a patient on antibiotic treatment with some bacteria like staph. aureus. even low counts i.e. < 105/m1 may be significant.